Lysis of bacterial colony in culture is seen by which virus -
1. Pox
2. HSV
3. Bacteriophage
4. CMV

Correct answer: 3. Bacteriophage

Explanation: Ans. is 'c' i.e., Bacteriophage o Lysis of bacteria occurs due to replication of bacteriophage in the bacteria, in lytic cycle,o The process of lytic cycle occurs in following stepsAdsorption (attachment) of a phage to the surface of a susceptible bacterium by its tail.Penetration of phage nucleic acid into the bacterial cells.Synthesis of phage components.Assembly of phage components into mature infective phage particles, i.e. maturation.Release of mature progeny phage.Important factso Lysis from without: When bacteria are mixed with phage particles at high multiplicity, bacterial lysis occurs without viral (phage) multiplication due to formation of multiple holes in bacterial cells.o Transfection : It is infection of a bacterium by the naked phage nucleic acid, i.e. without adsorption of bacteriophage on bacterium.